Which of the following is the causative agent of STD disease donovanosis?
1. Hemophilus ducrevi
2. Klebsiella granulomatis
3. Leishmania donovani
4. Treponema pallidum

Correct answer: 2. Klebsiella granulomatis

Explanation: Granuloma inguinale/donovanosis-caused byKlebsiella granulomatis. Small, painless nodules appear after about 10-40 days of the contact with the bacteria. Later, the nodules burst, creating open, fleshy, oozing lesions. The lesions occur at the region of contact typically found on the shaft of the penis, the labia, or the perineum Diagnosis:painless, "beefy-red ulcer" with a characteristic rolled edge of granulation tissue. Wright Giemsa stain:Donovan bodies- rod-shaped, oval organisms that can be seen in the cytoplasm of mononuclear phagocytes or histiocytes in tissue samples.